Most characteristic arrhythmia seen with Digoxin toxicity is
1. Ventricular Extrasystoles
2. Ventricular bigemini
3. Atrial tachycardia with AV nodal block
4. Atrial flutter

Correct answer: 3. Atrial tachycardia with AV nodal block

Explanation: Atrial tachycardia (because of increase intracellular calcium levels) and AV nodal blockade (because of parasympathomimetic activity) is the most characteristic arrhythmia seen with Digoxin toxicity.
But Ventricular bigeminy is the most common arrythmia seen with Digoxin toxicity.